Not a feature of Quadrangular space syndrome
1. Hypertrophy of quadrangular space syndrome
2. Weakness of abduction of the arm
3. Weakness of lateral rotation of the arm
4. Weakness of medial rotation of the arm

Correct answer: 4. Weakness of medial rotation of the arm

Explanation: Quadrangular space syndrome Hypertrophy of the quadrangular space muscles or fibrosis of the muscle edges may impinge on the axillary nerve. Uncommonly this produces waekness of the deltoid muscle. Typically it produces atrophy of the teres minor muscle. Which may affect the control that the rotator cuff muscles exert on shoulder movement.